Most common mutation in pancreatic adenocarcinoma:-
1. K-ras
2. p16
3. p53
4. BRAF

Correct answer: 1. K-ras

Explanation: Ca-Pancreas MC genetic mutation in Ca pancreas/ Cholangiocarcinoma - K-RAS > p-16 MC genetic mutation in Ca- GB - P53 > K-RAS MC genetic mutation in Ca stomach - P53 > COX - II